Which among the following is the longest diameter of the fetal skull?
1. Biparietal
2. Bitemporal
3. Occipitomental
4. Occipitofrontal

Correct answer: 3. Occipitomental

Explanation: The occipitomental (12.5 cm), which extends from the chin to the most prominent portion of the occiput. The biparietal (9.5 cm), the greatest transverse diameter of the head, which extends from one parietal boss to the other. The bitemporal (8.0 cm), which is the greatest distance between the two temporal sutures. The occipitofrontal (11.5 cm), which follows a line extending from a point just above the root of the nose to the most prominent portion of the occipital bone. Ref: Cunningham F.G., Leveno K.J., Bloom S.L., Hauth J.C., Rouse D.J., Spong C.Y. (2010). Chapter 4. Fetal Growth and Development. In F.G. Cunningham, K.J. Leveno, S.L. Bloom, J.C. Hauth, D.J. Rouse, C.Y. Spong (Eds), Williams Obstetrics, 23e.